Sensory supply of palatine tonsil is by which cranial nerve?
1. IXth
2. Xth
3. XIth
4. VIIth

Correct answer: 1. IXth

Explanation: Sensory fibres or general visceral afferent from the soft palate and tonsil, is by the lesser palatine and glossopharyngeal nerves. Ref: BD Chaurasia's HUMAN ANATOMY, Volume 3, 4th edition.